Drug of choice in Neonatal ITP is –
1. Platelet transfusion
2. Prednisolone
3. Dexamethasone
4. Gammaglobulin

Correct answer: 4. Gammaglobulin

Explanation: Treatment of neonatal ITP

Prenatal administration of corticosteroids to mother.
IV immunoglobulin or sometimes corticosteroids to the infant after delivery.

Treatment of ITP in children

IV immunoglobulin is the treatment of choice.
Glucocorticoids are often used in combination.